CLL is characterised by following except -
1. Small lymphocytes in peripheral smear
2. Hepatosplenomegaly
3. Age > 50 years and usually females
4. ZAP-70 is a marker

Correct answer: 3. Age > 50 years and usually females

Explanation: Chronic Lymphocytic leukaemia occurs more commonly in middle and older age groups over 50 years of age with a male preponderance ,male - female ratio 2:1 Reference best book of Pathology 7th edition author Harsha Mohan page number 355